Lyme's disease is caused by:
1. Borrelia parkeri
2. Borellia burgdoferi
3. Borrelia recurrentis
4. Borrelia hermsi

Correct answer: 2. Borellia burgdoferi

Explanation: ANSWER: (B) Borellia burgdoferiREF: Jawett's 24th edition Section III. Bacteriology > Chapter 25. Spirochetes & Other Spiral MicroorganismsRepeat from December 2008Lyme disease is named after the town of Lyme, Connecticut, where clusters of cases in children were identified. Lyme disease is caused by the spirochete Borrelia burgdorferi and is transmitted to humans by the bite of a small ixodes tick. The disease has early manifestations with a characteristic skin lesion, erythema migrans, along with flu-like symptoms, and late manifestations often with arthralgia and arthritis